The organism most commonly causing genital filariasis in most part of Bihar and eastern U.P is -
1. Wuchereria bancrofti
2. Brugia malayi
3. Onchocerca volvulus
4. Dirofilaria

Correct answer: 1. Wuchereria bancrofti

Explanation: - lymphatic filariasis is the infection caused by nematode worms. - bancroftian filariasis affects the genitals while brugian filariasis rarely involve genitals. - among 95 percent of lymphatic filariasis is caused by Wuchereria bancrofti and the heavily infected states in India include Uttar Pradesh , Bihar, Orissa, Andra Pradesh. Reference : Park's textbook of preventive and social medicine, 23rd edition pg no:270